A child is receiving corticosteroids for medical therapy. The following is not a contraindication in this child for receiving a live viral vaccine:
1. When child is receiving 2 mg/kg of prednisolone for at least 2 weeks at present
2. When child has received 2 mg/kg of prednisolone for at least 2 weeks in the past one month
3. Child receiving 4 mg/kg of prednisolone for 4 weeks, prior to 2 weeks
4. Chronic asthmatic child receiving low dose inhaled steroid for 10 months

Correct answer: 4. Chronic asthmatic child receiving low dose inhaled steroid for 10 months

Explanation: d. Chronic asthmatic child receiving low dose inhaled steroid for 10 months(Ref: Ghai 8/e p 142)Low dose steroids are not a contraindication to live vaccines.